The infective form of toxoplasma gondii is-
1. Oocyst
2. Bradycyst
3. Tachyzoite
4. All of the above

Correct answer: 4. All of the above

Explanation: All of the above